The most common and earliest manifestation of carcinoma of the glottis is -
1. Hoarseness
2. Haemoptysis
3. Cervical lymph nodes
4. Stridor

Correct answer: 1. Hoarseness

Explanation: In glottic cancer.
“Hoarseness of voice is an early sign because lesion of cord affects its vibratory capacity.”